Acanthosis Nigricans associated with malignancy has
1. Localised skin involvement
2. Abrupt onset
3. Resolves spontaneously
4. Involves neck and axilla only

Correct answer: 2. Abrupt onset

Explanation: Acanthosis Nigricans associated with malignancy has extensive skin involvement and sudden onset.